Post operative radiotherapy in a patient operated for Ca-endometrium is indicated in all of the following EXCEPT:
1. Deep myometrial invasion
2. Pelvic lymph node involvement
3. Enlarged uterine cavity
4. Poor tumour differentiation

Correct answer: 3. Enlarged uterine cavity

Explanation: Post operative radiotherapy in a patient operated for Ca-endometrium is indicated in: Deep myometrial involvement Grade 3 histology Lympho vascular space invasion extrauterine pelvic disease: adnexal, parametrial involvement Pelvic lymph node metatasis Para aortic lymph nodes Stage III and IV: whole abdomen radiation, but chemotherapy is preferred Serous, sarcomas, clear cell histology